Limbus stem cells are situated in:
1. Corneal stroma
2. Ciliary body
3. Fornices
4. Palisades of Vogt

Correct answer: 4. Palisades of Vogt

Explanation: Limbus stem cells are seen in Palisade of Vogt. LIMBUS STEM CELL (LSC) Function: Maintain transparency of cornea & Corneal epithelium regeneration. Sign of deficiency Conjunctivalization of cornea. Persistent epithelial defect. Irregular staining. Marker: ABCG 2. OSTEO ODONTO KERATOPROSTHESIS